Rugger jersy spine is seen in -
1. Flurosis
2. Achondroplasia
3. Renal osteodystrophy
4. Marfan syndrome

Correct answer: 3. Renal osteodystrophy

Explanation: Ans. is 'c' i.e., Renal osteodystrophy o Osteosclerosis of the vertebral bodies is known as "Ruseer iersev spineQ".o This is seen in patients with renal osteodystrophy.o Patients with chronic renal failure are liable to develop diffuse bone changes which are variable combination of Ricket's or osteomalacia, secondary hyperparathyroidism, osteoporosis and osteosclerosis,o The x-ray changes seen in renal osteodystrophy reflect these abnormalities.o The characteristic x-ray features in renal osteodystrophy is Rugger jersey spineQ -o It is seen due to osteosclerosis of the axial skeleton.o Osteosclerosis may produce 'rugger jersy' striped appearance in lateral x-rays of spine due to alternating bands of increased and decreased bone density.